Commonest cause of subarachnoid haemorrhage is:
1. Rupture of circle of Willis aneurysm
2. Rupture or vertebral artery aneurysm
3. Rupture of venecomitants of corpus striatum
4. Rupture of dural sinusis

Correct answer: 1. Rupture of circle of Willis aneurysm

Explanation: Answer is A (Rupture of circle of Willis aneurysm): Most common cause of subarachnoid haemorrhage is ruptured saccular aneurysms. Most common site of saccular aneurysms is the anterior circulation on the circle of Willis